Granulation tissue comprises of:
1. Fibroblasts
2. Small blood vessels
3. Macrophages
4. All of the above

Correct answer: 4. All of the above

Explanation: The combination of proliferating fibroblasts, loose connective tissue, new blood vessels and scattered chronic inflammatory cells, forms a type of tissue that is unique to healing wounds and is called granulation tissue. This term derives from its pink, soft, granular gross appearance, such as that seen beneath the scab of a skin wound.
Robbins Pathology 10th ed page no 90